A 21 year old primigravida presents with vaginal bleed after a period of amnorrhea. UPT shows +ve, USG shows snowstorm appearance. What can be the diagnosis?
1. Hydatidiform
2. Endometriosis
3. Missed abortion
4. Ectopic pregnancy

Correct answer: 1. Hydatidiform

Explanation: Molar pregnancy is an abnormal form of pregnancy wherein a non-viable fertilized egg implants in the uterus. There are two varieties of molar pregnancies, complete mole (no fetus), and incomplete mole (fetal parts in addition to molar degeneration.) Persistent or malignant disease will develop in approximately 20% of patients with molar pregnancy. The diagnosis is straight forward snow storm appearance in USG is characteristic of molar pregnancy.